A 35-year-old pregnant female at 40 weeks gestational age presents with pain and regular uterine contractions every 4-5 min. On arrival, the patient is in a lot of pain and requesting relief immediately. Her cervix is 5 cm dilated. What is the most appropriate method of pain control for this parent?
1. Intramuscular Morphine
2. Pudendal block
3. Local block
4. Epidural block

Correct answer: 4. Epidural block

Explanation: When complete relief of pain is needed throughout the labor, epidural analgesia is safest and simplest. It provides sensory as well as various degrees of motor blockade over the region of body Ref: Dutta Obs 9e pg 479.